Most common virus leading to post transplantation lymphoma is?
1. EBV
2. CMV
3. Herpes
4. Aspergillus

Correct answer: 1. EBV

Explanation: MC virus leading to post transplantation lymphoma - EBV MC virus leading to Graft Failure in Post kidney transplantation - CMV